Acantholysis involves (is seen in):
1. Epidermis
2. Dermis
3. Epidermis-Dermis junction
4. Subcutaneous tissue

Correct answer: 1. Epidermis

Explanation: A. i.e. Epidermis